The blood-brain barrier is thought to exist because capillaries in the central nervous system have which of the following characteristics?
1. Discontinuous basal lamina
2. Fenestrae with diaphragms
3. Fenestrae without diaphragms
4. A few pinocytic vesicles

Correct answer: 4. A few pinocytic vesicles

Explanation: Capillaries in the CNS have a continuous basal lamina and thus lack fenestrae. In contrast to continuous capillaries in other parts of the body, they contain only a few pinocytic vesicles; this characteristic is thought to be partly responsible for the blood-brain barrier